Tonsil is lined by
1. Stratified squamous keratinised epithelium
2. Stratified squamous non keratinised epithelium
3. Columnar epithelium
4. Cuboidal epithelium

Correct answer: 2. Stratified squamous non keratinised epithelium

Explanation: INDERBIR SINGH'S TEXTBOOK OF HUMAN HISTOLOGY-PAGE NO:144The palatine tonsilsEach palatine tonsils consists of diffuse lymphoid tissue in which lymphatic nodules are present. the lymphoid tissue is covered by stratified squamous epithelium continuous with that of the mouth and pharynx